Kilnefelter no of chromosomes
1. 47
2. 46
3. 45
4. 44

Correct answer: 1. 47

Explanation: Klinefelter syndrome is best defined as male hypogonadism that develops when there are at least two X chromosomes and one or more Y chromosomes. Most affected patients have a 47,XXY karyotype. This karyotype results from nondisjunction of sex chromosomes during meiosis. The extra X chromosome may be of either maternal or paternal origin. (Robbins Basic Pathology, 9 th edition. page : 239)